All are true about meta-analysis except:-
1. Easy to conduct
2. Analysis of analyses
3. Funnel plot and forest plot are used
4. Apple oranges effect seen in it

Correct answer: 1. Easy to conduct

Explanation: Metanalysis:- Analysis of Analyses. Analysis of multiple studies together. Difficult to Conduct, but it does give you the best estimate for a given study design-Strength of Association. Funnel plot, forest plot are used. Disadvantages:- Publication bias. "Apple Orange Effect" seen in it.